100 day glaucoma is seen in which of the following conditions?
1. Central retinal vein occlusion (CRVO)
2. Steroid induced glaucoma
3. Neovascular glaucoma
4. Central retinal artery occlusion (CRAO)

Correct answer: 1. Central retinal vein occlusion (CRVO)

Explanation: CRVO cause hypoxia and release of VEGF causing neovascularisation of iris and thus neovascular glaucoma in 20% cases within 3 months (also known as 90days/100days glaucoma).